Which of the following surgery is known as Schwartz operation?
1. Cortical mastoidectomy
2. Radical mastoidectomy
3. Modified radical mastoidectomy
4. Myringotomy

Correct answer: 1. Cortical mastoidectomy

Explanation: Cortical mastoidectomy, known as simple or complete mastoidectomy or Schwartz operation, is complete exenteration of all accessible mastoid air cells and converting them into single cavity. Posterior meatal wall is left intact. Middle ear structures are not disturbed. Indications: 1. Acute coalescent mastoiditis 2. Incompletely resolved acute otitis media with reservoir sign 3. Masked mastoiditis 4. As an initial step to perform, Endolymphatic sac surgery Decompression facial nerve Translabyrinthine or retrolabyrinthine procedures for acoustic neuroma